A 30-year-old woman presents with progressive conductive deafness bilaterally. The most common cause is:
1. Tympanosclerosis
2. Otospongiosis
3. Meniere's disease
4. B/L otitis media

Correct answer: 2. Otospongiosis

Explanation: (b) Otospongiosis(Ref. Cummings, 6th ed., 2211)Otosclerosis is the most common cause of B/L progressive conductive hearing loss in adults.Meniere's disease presents with U/L SN hearing loss, vertigo and tinnitus.With the kind of presentation mentioned the remaining two options of conductive hearing loss are less common than otosclerosis.